Communicating opening between greater sac and lesser sac-
1. Foramen of winslow
2. Foramen of Monro
3. Hepatorenal pouch
4. Pouch of Douglas

Correct answer: 1. Foramen of winslow

Explanation: Ans. is 'a' i.e., Foramen of winslow o Epiploic foramen (foramen of winslow or aditus to lesser sac) is a slit-like opening through which lesser sac communicates w ith greater sac. It is situated at the level of T12 vertebra. Its boundries areAnterior :- Right free margin of lesser omentum (contains portal vein, hepatic artery proper and bile duct).Posterior :- IVC, right suprarenal gland and T12 vertebra.Superior :- Caudate lobe of liver.Inferior :- 1st part of duodenum and horizontal part of hepatic artery.